Quod Hanc is-
1. Impotence to all women
2. Legally impotent
3. Medically impotent
4. Psychologic impontence

Correct answer: 4. Psychologic impontence

Explanation: Ans. is 'd' i.e., Psychologic impotence